A boy is suffering from acute pyelonephritis. Most specific urinary finding will be-
1. W.B.C. casts
2. Leucocyte esterase test
3. Nitrite test
4. Bacteria in gram stain

Correct answer: 1. W.B.C. casts

Explanation: Answer is A (W.B.C) Presence of W.B.0 cast in urine of patients with suspected pyelonephritis is considered pathognomic. 'Leucocyte casts (W.B. C cast) are present in the urine of some patients with Pylonephritis and the detection of these is considered pathognomic'